To allow space for the dentures, most tuberosity reduction require
1. Only soft fibrous tissue removal
2. Large part of bone to be removed
3. No reduction, since Large tuberosities are more retentive
4. Removal of bone always

Correct answer: 1. Only soft fibrous tissue removal